Fenestrated capillaries are present in:
1. Skin
2. Brain
3. Skeletal muscle
4. Small intestine

Correct answer: 4. Small intestine

Explanation: Ans: D (Small intestine) Ref: Ganong's Review of Medical Physiology, 21st ed and Textbook of Medical Physiology, Indu Khurana, pg: 432Explanation:"in most endocrine glands, the intestinal villi, and parts of the kidneys, the cytoplasm of the endothelial cells is attenuated to form gaps called fenestrations. These fenestrations are 20-100 nm in diameter. They permit the passage of relatively large molecules and make the capillaries porous." Ref: GanongType of Capillaries Continuous or SomaticFenestratedSinusoidalJunctions* Has tight junctions <10 -15 microns)* Has larger openings- circular pores (50 -100 nm)* Has largest openingsMovement of fluids and solutes* Fluid cannot diffuse easily* Solutes and fluids move with more ease than 'continuous type'* Solutes and fluids move freelyRemarks* Most common type seen in connective tissue* Seen where there rapid exchange of molecules between blood and organs* Most prevalent type* Seen in hematopoietic systemsLocation* Fat* Muscle* Brain* Connective tissue* Lung* Small intestinal wlii* Kidney* Endocrine glands* Choroid plexus* Liver* Bone marrow* SpleenSchematicrepresentation